Lymphoedema is due to all except
1. Lymphatic valvular insufficiency
2. Increased lymphatic contractility
3. Lymphatic obliteration by infection
4. Increased collagen formation in subcutaneous tissue

Correct answer: 2. Increased lymphatic contractility

Explanation: Decreased Lymphatic contractility is implicated in pathophysiology of Lymphoedema.